Synaptic transmission in autonomic ganglia is
1. Adrenergic
2. Peptidergic
3. Cholinergic
4. Mediated by substance P

Correct answer: 3. Cholinergic